Piece meal necrosis on liver biopsy is a feature of -
1. Alcoholic hepatitis
2. Indian childhood cirrhosis
3. Chronic active hepatitis
4. Primary alcoholic cirrhosis

Correct answer: 3. Chronic active hepatitis

Explanation: Ans. is 'c' i.e., Chronic Active HepatitisPathological features of chronic active hepatitis o There is active continuous necrosis of liver cells leading to following features. Portal tracts show severe chronic inflammation with inflammatory cells extending into the liver lobules disrupting the limiting plate of hepatocytes. Piecemeal necrosis Portal fibrosis Bridging necrosis Interface hepatitisPathological features of chronic persistant hepatitis (Chronic minimal hepatitis)o Portal chronic inflammation is mild and restricted to the portal triads, there is no disruption of the limiting plates.o Little or no necrosiso Minimal fibrosis.